Most effective natural barrier to rabies
1. Heat
2. Humidity
3. Water
4. None

Correct answer: 3. Water

Explanation: Ans. is 'c' i.e., Water Rabies is primarily a zoonotic disease of warm-blooded animals, particularly carnivorous such as dogs, Cats, Jackals and wolves. It is transmitted to man usually by bites or licks of rabid animals. It is the communicable disease which is always fatal. Rabies is an enzootic and epizootic disease of world-wide importance. Geographic boundries play an important role in the distribution of rabies. Water appears to be the most effective natural barriers to rabies - So, In India, Lakshadweep and Andman & Nicobar islands are free of the disease. A Rabies free area has been defined as one in which no case of indigenously acquired rabies has occurred in man or any animal species for 2 years. Countries where rabies is not found - Australia, china (Taiwan), Cyprus, Iceland, Ireland, Malta, Japan, Newzealand, Britain.